Which of the following is most susceptible to ionizing radiation?
1. Mature bone
2. Small lymphocytes
3. Nerve cells
4. Epithelial cells

Correct answer: 2. Small lymphocytes

Explanation: Tissues that have high sensitivity are lymphoid organs, bone marrow, testes, intestines, mucous membranes. 
Tissues with intermediate sensitivity are ﬁne vasculature, growing cartilage & cartilage,  salivary glands, lungs, kidneys and liver. 
Tissues with low sensitivity include optic lens, mature erythrocytes, muscle cells and neurons.